All the following amoebae live in the large intestine except -
1. E.coli
2. E. nana
3. E.gingivalis
4. Lbutschii

Correct answer: 3. E.gingivalis

Explanation: Ans. is 'c' i.e., E. gingivalis